Regarding Ca gallbladder -
1. Squamous cell ca is the most common
2. Present with jaundice
3. Good prognosis
4. All

Correct answer: 2. Present with jaundice

Explanation: Answer (b) Presents with jaundice